Sistrunk operation is done for -
1. Throglossal fistula
2. Branchial cyst
3. Parotid tumor
4. Lateralabarrent thyroid

Correct answer: 1. Throglossal fistula

Explanation: Ans. is 'a' i.e., Thyroglossal fistula